Which of the following is not a carbamate?
1. Physostigmine
2. Neostigmine
3. Edrophonium
4. Pyridostigmine

Correct answer: 3. Edrophonium

Explanation: Ans. (C) Edrophonium(Ref: KDT 8th/e p116, Katzung 11/e p104)Physostigmine, neostigmine and pyridostigmine are carbamates by chemical nature, whereas edrophonium is an alcohol.